Terlipressin can be used for hematemesis from oesophageal varices. The action is mediated by:
1. V1a
2. V1b
3. V2
4. V4

Correct answer: 1. V1a

Explanation: Terlipressin causes vasoconstriction by acting on V1a/V1 receptor.
(V1b receptor is also called as V3 receptor)